Drug of choice for neurogenic diabetes insipidus is:
1. Terlipressin
2. Desmopressin
3. Chlorthalidone
4. Conivaptan

Correct answer: 2. Desmopressin

Explanation: (Ref: Katzung 14th ed. P 682)Desmopressin is a long acting synthetic analogue of vasopressinDOC for neurogenic/pituitary diabetes insipidus: DesmopressionNote: Desmopressin is also used for treatment of Hemophilia A and von Willebrand disease, nocturnal enuresis.DOC for nephrogenic diabetes insipidus: Thiazide diureticsConivaptan and Tolvaptan: Vasopressin receptor antagonist. DOC for SIADH (Syndrome of Inappropriate Anti Diuretic Hormone). Also approved to be used in heart failure for free water clearance and in hyponatremia.